Spring catarrah is?
1. Type I hypersensitivity reaction
2. Type II
3. Type III
4. Type IV

Correct answer: 1. Type I hypersensitivity reaction

Explanation: A i.e. Type I Hypersensitivity